Which of the following does not require a lumbar puncture in children?
1. ALL
2. HL
3. NHL
4. AML

Correct answer: 2. HL

Explanation: b. HL(Ref: Ghai 8/e 616-617)Discussing the options one by one,a. ALLCNS infiltration is common in ALL, so diagnostic lumbar puncture & CSF cytopathology to look for blasts is done; LP is also done to administer intrathecal methotrexateb. HLUsually Lumbar puncture is not requiredc. NHLHematogenous spread may cause CNS spread, so LP doned. AMLCNS spread though rare can be seen, which will require lumbar puncture for diagnosis as well as treatment